In mondors disease there swelling and hardening of-
1. Lymphatics
2. Veins
3. Arteries
4. Nerves

Correct answer: 2. Veins

Explanation: Ans. is 'b' i.e., Veins